All are true statements about Hernias EXCEPT
1. Abdominal hernia needs no repair
2. Femoral hernia needs repair
3. Small hernia is more dangerous than large hernia
4. Painful strangulated hernia should be repaired even after being reduced after anaesthetics and analgesics

Correct answer: 1. Abdominal hernia needs no repair

Explanation: (A) Abdominal hernia needs no repair # Hernia is the bulging of part of the contents of the abdominal cavity through a weakness in the abdominal wall.> Causes of hernia: Basic design weakness Weakness due to structures entering and leaving the abdomen Developmental failures Genetic weakness of collagen Sharp and blunt trauma Weakness due to ageing and pregnancy Primary neurological and muscle diseases Excessive intra-abdominal pressure> For most hernias, no specific investigation is required, the diagnosis being made on clinical examination> Not all hernias require surgical repair> Small hernias can be more dangerous than large.> Pain, tenderness and skin colour changes imply high risk of strangulation.> Femoral hernia should always be repaired.